Median nerve lesion at the wrist causes all of the following, EXCEPT:
1. Thenar Atrophy
2. Weakness of Adductor Pollicis
3. Weakness of 1st and 2nd Lumbricals
4. Weakness of Flexor Pollicis Brevis

Correct answer: 2. Weakness of Adductor Pollicis

Explanation: Median nerve lesion at wrist will lead to atrophy of thenar eminence, weakness to flexor pollicis brevis, 1st and 2nd lumbricals. Adductor pollicis is supplied by the ulnar nerve. Ref: Neurology, Marco Mumenthaler, Heinrich Mattle, 4th Edition, Page 749-783; Snell's Clinical Anatomy, 7th Edition, Page 482,483.